Parinaud syndrome is caused by damage to
1. Anterior commisure
2. Posterior commisure
3. Medial commisure
4. Lateral commisure

Correct answer: 2. Posterior commisure

Explanation: Answer- B. Posterior commisureAlso known as dorsal midbrain syndrome, this is a distinct supranuclear vertical gaze disorder caused by damage to the posterior commissure.Pineal region tumors, cysticercosis, and stroke also cause Parinaud's syndrome.